An antimetabolite which undergoes biotransformation to form an inhibitor of DNA polymerase is -
1. Vinablastine
2. Cytosine arabinoside
3. Methotrexate
4. Chlorambucil

Correct answer: 2. Cytosine arabinoside

Explanation: Ans. is 'b' i.e., Cytosine arabinosideo Cytarabine is phosphorylated in the body to the corresponding nucleotide which inhibits DNA synthesis by inhibiting DNA polymerase.